Tube (Cylinder) cast is applied for the fracture of
1. Shoulder
2. Hip
3. Pelvis
4. Knee

Correct answer: 4. Knee

Explanation: D i.e. Knee Cylinder (tube) cast is used in undisplaced transverse fracture of patellaQ.